What is normal average IQ?
1. 100
2. 90
3. 80
4. 70

Correct answer: 1. 100

Explanation: An average normal IQ is considered to be 100. However, the range actually extends from 90-109(Refer: Nelson's Textbook of Pediatrics, SAE, 1st edition, pg no. 51)